All the following nerves are involved in entrapment neuropathy, EXCEPT:
1. Femoral nerve
2. Median nerve
3. Ulnar nerve
4. Lateral cutaneous nerve of thigh

Correct answer: 1. Femoral nerve

Explanation: Femoral Nerve has not been mentioned to be involved in Entrapment syndromes. The other three nerves medial ulnar and lateral cutaneous nerve entrapments occurs commonly. Thus femoral nerve is the best option. Ref: Apley's System of Orthopedics and Fractures, 8th Edition, Pages 246-252; Clinical Primer of Rheumatology By William J. Koopman, Dennis W. Boulware, Gustavo Heudebert, Pages 70, 77